Most common renal pathology in shock:
1. Acute tubular necrosis
2. Acute cortical necrosis
3. Renal vein thrombosis
4. Acute medullar necrosis

Correct answer: 1. Acute tubular necrosis